The highest percentage of polyunsaturated fatty acids is present in:
1. Groundnut oil
2. Soya bean oil
3. Margarine
4. Palm oil

Correct answer: 2. Soya bean oil

Explanation: Fatty acid content of different fats (%): Fats SFA* MUFA* PUFA* Coconut oil 92 6 2 Safflower oil 9 13 75 - highest amount Sunflower seed oil 12 22 62 Soya bean oil 14 24 53 Groundnut oil 19 41 32 Palm oil 39 46 11 Butter 68 29 2 (*SFA: Saturated Fatty Acids; MUFA: Mono-unsaturated Fatty Acids; PUFA: Poly-unsaturated Fatty Acids) - Hence, among given options, high amount of PUFA is found in soyabean oil.